Maximum refractive index -
1. Cornea
2. Air
3. Lens
4. Vitreous

Correct answer: 3. Lens

Explanation: Ans. is 'c' i.e., Lens o Lens has maximum refractive index among the refractive structures of eye. The refractive indices of the successive layers of lens increase from the periphery towards the nucleus. Thereforey Anterior lens cortexy Posterior lens cortex- Refractive index is 1.386.- Refractive index is 1.386. Refractive indexMediumAirCorneaAqueous humourLensVitreous humorRefractive index1-0001 3761-3361-386 - 1-4061-336